An example of rigid reversible impression material is
1. Agar-agar
2. Impression compound
3. Alginate
4. Impression paste

Correct answer: 2. Impression compound